Skip lesions with tuberculoid granulomas is characteristic of
1. Hodgkins lymphoma
2. Sarcoidosis
3. Crohns disease
4. Ulcerative colitis

Correct answer: 3. Crohns disease